Negative pressure dressing is used for
1. Removal of eschar
2. Chronic non-healing diabetic ulcer
3. Unexplored fistulas
4. Untreated osteomyelitis

Correct answer: 2. Chronic non-healing diabetic ulcer

Explanation: Answer- B. Chronic non-healing diabetic ulcerNegative-pressure wound therapy (NPWT) is a therapeutic technique using a vacuum dressing to promote healing in acute or chronic wounds and enhance healing ofsecond and third degree burns.Use in the treatment of diabetes-associated chronic leg wounds.